Samogyi effect is -
1. Morning hyperglycemia due to insulin resistance
2. Morning hyperglycemia due to large dose of exogenous insulin
3. Morning hypoglycemia due to large dose of exogenous insulin
4. Evening hypoglycemia due to insulin resistance

Correct answer: 2. Morning hyperglycemia due to large dose of exogenous insulin

Explanation: Answer- B. Morning hyperglycemia due to large dose of exogenous insulinRebound hyperglycemia, results from excess xogenous insulin, which causes hypoglycemia overnight and stimulates the release to counter regulatory hormones that in turn increase blood glucose levels.